Malignant hypertension is associated with ?
1. RPGN
2. Malignant nephrosclerosis
3. Membranous GN
4. IgA nephropathy

Correct answer: 2. Malignant nephrosclerosis

Explanation: Ans. is 'b' i.e., Malignant nephrosclerosiso Malignant nephrosclerosis is the one of the renal disease associated with malignant or accelerated phase hypertension. The main pathology is Fibrinoid necrosis of arterioles.o In kidney small pinpoint petechial hemorrhage may appear on the cortical surface from the rupture of arterioles or glomerular capillaries. The kidney is known as 'flea bitten kidney'.